Highest insight is
1. Intellectual
2. Emotional
3. Psychological
4. Affective

Correct answer: 2. Emotional

Explanation: Insight has six levels- level 1- complete denial of illness level 2- slight awareness of being sick and needing help, but denying it at the same time level 3- awareness of being sick but blaming it on others, on external factors, or on organic factors. level 4- awareness that illlness is causeed by something unknown in the patient. level 5- intellectual insight, admission that patient is ill and that symptoms or failure in social adjustment are caused by the patien's own peicular irrational feelings or disturbances without applying this knowledge to futue experiences. level 6- true emotional insight. Ref: Synopsis of Psychiatry, 10e, Chapter 7.1